In vitro test for enterotoxin -
1. Mac Conckey's culture
2. Blood agar culture
3. Rabbit ileal loop culture
4. None

Correct answer: 4. None

Explanation: Ans. is 'd' i.e., None . MacConKey's and blood agar culture are not used for detection of enterotoxin. . Rabbit ileal loop culture is in vivo test (not in vitro)